The most radiosensitive tumor among the following is:
1. Bronchogenic carcinoma
2. Carcinoma parotid
3. Dysgerminoma
4. Osteogenic sarcoma

Correct answer: 3. Dysgerminoma

Explanation: Ans. Dysgerminoma